Drug of choice for idiopathic intracranial hypertension
1. Acetazolamide
2. Glycerol
3. Mannitol
4. Dexamethasone

Correct answer: 1. Acetazolamide

Explanation: Idiopathic intracranial hypertension is treated with acetazolamide. It should not be given in first trimester, in rest of the peroids it is safe. This condition worsens during pregnancy due to weight gain. Reference : Harrison20th edition pg 2334